Seroconversion rate is how much after 3 doses of Hepatitis B vaccine?
1. 30%
2. 50%
3. 70%
4. 95%

Correct answer: 4. 95%

Explanation: -Seroconversion rates exceed 95% after 3 doses of Hepatitis B vaccine. - Antibody titre > 10mIU/ml is protective - This Vaccine usually induces long-term immunity- so, booster doses are not routinely recommended - Double dose of vaccine/ boosters - recommended in pts with chronic kidney disease / immunodeficiency - in whom titers may wane